Ocular Graves disease is associated with:
1. Hyperthyroidism
2. Hypothyroidism
3. Euthyroid state
4. All of the above

Correct answer: 4. All of the above

Explanation: Ans. All of the above